Erythropoiesis in gestation age takes place in
1. Yolk sac
2. Placenta
3. Amniotic sac
4. Chorion

Correct answer: 1. Yolk sac

Explanation: In the first 2 months of gestation yolk, sac is the main site of Erythropoiesis(mesoblastic stage) Ref: Medical Physiology Indu Khurana 2015 page No:104 In early weeks of embryonic life, primitive nucleated red cells are producedin yolk sac. During middle trimester of gestation-liver (also spleen,lymph nodes in reasonable numbers) During last month of gestation and after birth- exclusively in the bone marrow